Smegma is secreted by
1. Tyson gland
2. Brenner gland
3. Cowper's gland
4. Bartholin's gland

Correct answer: 1. Tyson gland

Explanation: Smegma was originally thought to be produced by sebaceous glands near the frenulum called Tyson's glands. Preputial glands were first noted by Edward Tyson and in 1694 fully described by William Cowper who named them Tyson's glands after Tyson. They are described as modified sebaceous glands located around the corona and inner surface of the prepuce of the human penis . They are believed to be most frequently found in the balanopreputial sulcus .Bulbourethral gland, also called Cowper's Gland , either of two pea-shaped glands in the male, located beneath the prostate gland at the beginning of the internal portion of the penis; they add fluids to semen during the process of ejaculation. The Bartholin's glands (also called Bartholin glands or greater vestibular glands ) are two pea sized compound racemose glands located slightly posterior and to the left and right of the opening of the vagina. They secrete mucus to lubricate the vagina and are homologous to bulbourethral glands in males.Brunner's glands (or duodenal glands ) are compound tubular submucosal glands found in that portion of the duodenum which is above the hepatopancreatic sphincter (aka sphincter of Oddi).